True regarding leptospirosis is?
1. Rats are the only reservoirs
2. Fluoroquinolones are the DOC
3. Person to person transmission rare
4. Hepatorenal syndrome occurs in 50% cases

Correct answer: 3. Person to person transmission rare

Explanation: Ans. (c) i.e. Person to person transmission rare Note: - Weil syndrome develops in 5-10% of infected individual - Treatment of choice for leptospirosis is Ampicillin -Doxycycline is the drug of choice for chemoprophylaxis.